Newborns have transplacentally acquired immunity against all of the following diseases except
1. Measles
2. Pertusis
3. Diphteria
4. Poliomyelitis

Correct answer: 2. Pertusis

Explanation: *Pertussis is an acute highly contagious respiratory tract infection caused by BORDETELLA PERTUSSIS . * Neither natural disease nor vaccination provides complete or lifelong immunity against pertussis re-infection or disease. * Protection against typical disease begins to wane 3-5 yrs after vaccination and is unmeasurable after 12 yrs. Reference: Nelson textbook of pediatrics 21st edition Page 944